A 20 year old girl, presents with 9 month history of neck swelling with thyrotoxic  symptoms.  On investigation, increased T4 and decreased TSH with palpable 2 cm nodule was found. Next investigation will be:
1. USG
2. Thyroid scan
3. Radioactive iodine uptake
4. CT scan

Correct answer: 2. Thyroid scan